All the structures lie behind thoracic duct at the root of the neck except
1. Vertebral artery and vein
2. Medial border of the scalenus anterior
3. Right phrenic nerve
4. Thyrocervical trunk and its branches

Correct answer: 3. Right phrenic nerve

Explanation: The thoracic duct begins as a continuation of the upper end of the cisterna chyli near the lower border of the twelfth thoracic vertebra and enters the thorax through the aortic opening of the diaphragm.In the NeckThe thoracic duct forms an arch rising about 3-4 cm above the clavicle. The arch has the following relations:Anteriorly: (i) Left common carotid artery, (ii) left vagus, and (iii) left internal jugular vein.Posteriorly: (i) Vertebral artery and vein, (ii) sympathetic trunk, (iii) thyrocervical trunk and its branches, (iv) left phrenic nerve, (v) medial border of the scalenus anterior, (vi) prevertebral fascia covering all the structures mentioned, and (vii) the first part of the left subclavian artery.Ref: BD Chaurasia; Volume 1; 6th edition; Page no: 272